Contraceptive methods with failure rate <5:a) Copper - Tb) Vaginal spongec) Condomd) OCPe) Tubectomy
1. acd
2. bde
3. ade
4. ad

Correct answer: 3. ade